MCH care is assessed by –
1. Death rate
2. Birth rate
3. Maternal mortality rate
4. Anemia in mother

Correct answer: 3. Maternal mortality rate

Explanation: Important MCH indicators

Maternal mortality rate
Mortality in infancy and childhood


Prenatal mortality rate
Neonatal mortality rate
Post - neonatal mortality rate
Infant mortality rate
1-4 year mortality rate
Under 5 mortality rate
Child survival rate